IgA deposits on skin biopsy
1. Henoch Schouleiln puspura
2. Giant cell arteritis
3. Microscopic polyangitis
4. Wegener's granulomatosis

Correct answer: 1. Henoch Schouleiln puspura

Explanation: A.i.e. Henosch Schonlein purpura